Amotivational syndrome is seen in -
1. Cannabis
2. Cocaine
3. Amphetamine
4. LSD

Correct answer: 1. Cannabis

Explanation: Amotivational syndrome is seen in Cannabis abuse.